Phacoemulsification is done with
1. Laser
2. Ultrasound
3. Cryo
4. UV light

Correct answer: 2. Ultrasound

Explanation: Ans. b (Ultrasound) Ref: AK Khurana, 4th ed, p. 193In phacoemulsification nucleus is emulsified & aspirated by phacoemulsification. Phacoemulsifier acts through a titanium needle ( hollow 1 mm needle)It vibrates in its longitudinal axis at an ultrasonic speed of40000 times a second and thus emulsifies nucleusAdvantage: Very small corneoscleral incision (3.2-3.5 mm), hence sutureless surgeryNOTE:Various surgical techniques with length of corneoscleral incisionECCE- 7-8 mm (120deg)ICCE- 10-12 mm (180deg)Small incision cataract surgery (SICS) - 4-6 mmPhacoemulsification- 3.2-3.5 mm (30deg)